The conducting airways are referred to as the anatomic dead space. TRUE about measurement of anatomical dead space is:
1. 1 mL of dead space per pound of ideal body weight
2. 5 mL of dead space per pound of ideal body weight
3. 10 mL of dead space per pound of ideal body weight
4. 15 mL of dead space per pound of ideal body weight

Correct answer: 1. 1 mL of dead space per pound of ideal body weight

Explanation: For a normal, healthy subject, the anatomic dead space can be estimated by referring to a table of standard values matched to sex, age, height, and weight or body surface area. A reasonable estimate of anatomic dead space is 1 mL of dead space per pound of ideal body weight. To determine the anatomic dead space in a particular patient, Fowler's method is used. Ref: Levitzky M.G. (2007). Chapter 3. Alveolar Ventilation. In M.G. Levitzky (Ed), Pulmonary Physiology, 7e.